Pyogenic granuloma
1. Bleeds on touch
2. Painless
3. Soft in consistency
4. All of the above

Correct answer: 4. All of the above